Following are side effects of Nimodipine except ?
1. Hypotension
2. Flushing
3. Headache
4. Marked changes m GIT motility

Correct answer: 4. Marked changes m GIT motility

Explanation: Ans. is 'd' i.e., Marked changes in GI motility Hypotension, headache, drowsiness, nausea, ankle edema, palpitation and flushing are common side effects of DHPs (including nimodipine). o Change in GI motility (constipation) is more common with verapamil.